In TMJ 2 joint works synchronously hence known as:
1. Ginglinoid joint.
2. Biarthrodial joint.
3. Compound joint.
4. Synovial joint.

Correct answer: 2. Biarthrodial joint.